Double bubble appearance is seen in:
1. Jejunal atresia
2. Duodenal atresia
3. Obstructive jaundice
4. Pyloric stenosis

Correct answer: 2. Duodenal atresia

Explanation: Ans. B. Duodenal atresiaThe double bubble sign is seen in infants and represents dilatation of the proximal duodenum and stomach. It is seen in both radiographs and ultrasound, and can be identified antenatally The finding is typically pathologic, and implies either duodenal atresia, duodenal web, annular pancreas, and on occasion midgut volvulus, a distinction that requires close clinical correlation and, in most cases, surgical intervention.